The metabolic derrangement in congenital pyloric stenosis is -
1. Hypochloremic alkalosis
2. Hyperchloremic alkalosis
3. Hyperchloremic acidosis
4. Hypochloremic acidosis

Correct answer: 1. Hypochloremic alkalosis

Explanation: Ans. is 'a' i.e., Hypochloremic alkalosisClinical manifestations of congenital hypertrophic pyloric stenosis Pyloric stenosis is usually not present at birth.o Nonbillous vomiting is the initial symptoms of pyloric stenosis.The vomiting usually starts after 3 weeks of age, but symptoms may develop as early as the 1st week of life and as late as the 5 months of life.o Emesis may follow each feeding, or it may be intermittent.o After vomiting, the infant is hungry and wants to feed again.Due to vomiting, there is progressive loss of --> Fluid, Hydrogen ion, ChloridesThis results in hypochloremic metabolic alkalosis.o Serum potassium levels are usually maintained, but there may be a total body potassium deficit.o Jaundice (unconjugated bilirubin) is associated with a decreased level of glucuronyl transferase in 5% of patients.